Hydrocolloid material, show all except:
1. Hysterisis
2. Imbibition
3. Recrystallisation
4. Syneresis

Correct answer: 3. Recrystallisation